Alcohol dependence is seen which of the following phase
1. Oral
2. Phallic
3. Anal
4. Latency

Correct answer: 1. Oral

Explanation: Ans. is 'a' i.e. Oral PhasePsychiatric disorders resulting from fixation of regression to this phase* Oral phase (Birth 1 Vx year)* Alcohol dependence or drug dependence* Severe mood disorder* Dependent personality traits and disorders* Schizophrenia* Ana! phase* Obsessive compulsive traits* Obsessive compulsive disorder* Phallic (oedipal) Phase (3-5 years)* Oedipus complex is the primary cause of hysteria and other neurotic symptoms* Latency phase (5-12 years)* Neurotic disorders* Genital phase (12 years onward)* Neurotic disorders